Subacute sclerosing pan- encephalitis is associated with-
1. Mumps
2. Measles
3. Rubella
4. Typhoid

Correct answer: 2. Measles

Explanation: The more serious neurological complications of measles include febrile convulsions, encephalitis, subacute sclerosing pan-encephalitis (SSPE) SSPE characterized by progressive mental deterioration leading to paralysis, involuntary movements, muscle rigidity and coma. Frequency of SSPE is about 1:300,000 cases of natural measles. Ref:PARK'S TEXTBOOK OF PREVENTIVE AND SOCIAL MEDICINE 23rd edition , Page:148.